SI unit of Absorption is:
1. Sv
2. Curie
3. Becquerel
4. Gy

Correct answer: 4. Gy